Most common viral cause of Fulminant hepatic failure in pregnancy?
1. HAV
2. HBV
3. HCV
4. HEV

Correct answer: 4. HEV

Explanation: HEV- increases risk of fulminant hepatic failure in pregnancy